Shock with bullous skin lesion is seen in infection with -
1. E. coli
2. Pseudomonas
3. Meningococci
4. Candida

Correct answer: 2. Pseudomonas